Kussumaul'sing is not seen in-
1. Restrictive cardiomyopathy
2. Constrictive pericarditis
3. Cardiac tamponade
4. d)RV infarct

Correct answer: 3. Cardiac tamponade

Explanation: Kussmaul sign is a paradoxical rise in jugular venous pressure (JVP) on inspiration, or a failure in the appropriate fall of the JVP with inspiration. It can be seen in some forms of heart disease and is usually indicative of limited right ventricular filling due to right heart dysfunction. The differential diagnosis generally associated with Kussmaul sign is constricitve pericariditis , as well as with restrictive cardiomyopathy With cardiac tamponade , jugular veins are distended and typically show a prominent x descent and an absent y descent as opposed to patients with constrictive pericarditis (prominent x and y descent), see Beck's triad . Other possible causes of Kussmaul's sign include: Right ventricular infarcton - low ventricular compliance Right heart failure Cardiac tumours Tricuspid stenosis Restricitve cardiomyopathy Pulmonary embolism Constrictive pericarditis Ref Harrison 20th edition pg 1432